Glanzman's thromboasthenia is characterized by defective -
1. Gp IIB/IIIA
2. Gp IB/IX
3. Gp IB/IIIA
4. GpIIB/IX

Correct answer: 1. Gp IIB/IIIA

Explanation: Ans is 'a' Gp IIB/IIIA Glanzman's thrombastheniao It is an autosomal recessive disorder due to deficiency/dysfunction of glycoprotein Ilb-IIla (Gp Ilb/IIIa). Thus there is defective platelet aggregation.o Platelet aggregation is normal to ristocetin(ln constant to Bernard soulier syndrome) but no aggregation occurs in response to standard agonists (collagen, A DP, thrombin).o Other differentiating features include normal platelet count and morphologyo BT is prolonged. vWF is normal.o The disease manifests at birth with increased bleeding from umbilical cord stump.